Fumarase is
1. Lyase
2. Ligase
3. Hydrolase
4. None

Correct answer: 1. Lyase

Explanation: The urea cycle enzymes are located in such a way that the first two enzymes are in the mitochondrial matrix. The inhibitory effect of fumarate on its own formation is minimized because argininosuccinate lyase is in the cytoplasm, while fumarase is in mitochondria.Ref: DM Vasudevan, page no: 178